What fraction of inhaled mercury vapors retained in the body?
1. 45-55%
2. 55-65%
3. 65-85%
4. More than 85%

Correct answer: 3. 65-85%